Formal thought disorder that is classical in mania is
1. flight of ideas
2. loosening of assosiation
3. neologism
4. circumstantiality

Correct answer: 1. flight of ideas

Explanation: In flight of ideas, the individual starts at a point, shifts the topic , subsequent thoughts will have some association but they will not reach goal. This is classical of MANIA In loosening of association, patient comes with random thoughts that is not connected to each other and the goal is not reached. This is classical of schizophrenia they will introduce new words that are not present in one's dictionary , seen in SCHIZOPHRENIA In circumstantial speech individual starts about a topic, adds minute irrelevant details , beats around the bush and finally reaches the goal. This is seen in ORGANIC BRAIN CONDITIONS Ref. Kaplon and sadock, synopsis of psychiatry, 11 th edition, pg No.194